Midsystolic click is characteristic feature of:
1. MVP
2. MS
3. AR
4. POA

Correct answer: 1. MVP

Explanation: Answer is A (MVP) Midsystolic click is a characteristic feature of Mitral Valve Prolapse (MVP). The prolapse of the mitral valve is the most common cause of Midsystolic clicks. Mitral Valve is typically associated with a midsystolic click and a late systolic ejection murmur